Effect of infusion of hypotonic saline?
1. Increased ICF only
2. Increased ECF only
3. Increased in both ICF and ECF
4. Increased ICF and decreased ECF

Correct answer: 3. Increased in both ICF and ECF

Explanation: Ans. is 'c' i.e., Increased in both ICF and ECFAfter infusion of hyptonic saline causes a decline in plasma osmolality and a shift of water into interstial space (as water moves from higher osmolarity to lower osmolarity), causing decrease in ICF osmolality.This results in shift of water from ECF to ICF.Finally, both ECF and ICF compartments are increased (due to increases water) and osmolality of both compartment are decreased.